The largest organ of the body is
1. Liver
2. skin
3. Gluteus maximus
4. Femur

Correct answer: 2. skin

Explanation: The liver is the largest gland in the body and has a wide variety of functions (265-Snell 7th )
The liver is the largest gland in the body. (283-BDC-2)
Femer is the longest and the strongest bone of the body (16-B DC-2)
Skin is the largest organ of the body (278-K- Sembulingam physiology)
Skin is considered as the largest sense organ in the body it has many nerve endings, which are specialized to form cutaneous receptors (281-K. Sembulingam physiology 3rd )